Which of the following anticoagulants used in estimating blood glucose prevents glycolysis
1. Oxalate
2. Citrate
3. NaF
4. Heparin

Correct answer: 3. NaF